Muscles which open the glottis are:
1. Cricothyroid
2. Thyroarytenoid
3. Posterior cricoarytenoid
4. Lateral cricoarytenoid

Correct answer: 3. Posterior cricoarytenoid